Third generation OC pills are -
1. Decreased risk of thromboembolism
2. Decreased risk of myocardial infarction
3. Increased risk of breakthrough bleeding
4. More side effects

Correct answer: 2. Decreased risk of myocardial infarction

Explanation: Ans. is 'b' i.e., Decreased risk of myocardial infarction o Third generation oral contraceptives contain the new progestins: gestodone, desogestrol and norgestimate; combined with low dose of estrogen (< 35 g of ethinyl estrodiol). o These contraceptives have lower doses of progesterone-like compounds with similar protection against pregnancy, o They have been shown to have fewer side effects such as weight gain, fluid retention, headache, and hirsutism; seen commonly with 2nd generation OCPs. These side effects are due to andrgenic action of progestins in 2nd generation OCPs. 3rd generation OCPs have progestins with less androgenic action, o These contraceptives have decreased association with MI and stroke. o A better HDL profile is noted with 3rd generation OCPs in comparison to 2nd generation OCPs. o But they increase the risk of DVT and venous thromboembolism, o Risk of breakthrough bleeding is the same as with 2nd generation OCPs.